A young female presented with lucy linear lesions on tongue since a month with elongation of nail fold beyond the nail bed. What is the diagnosis –
1. Psoriasis
2. Geographic tongue
3. Lichen planus
4. Candidiasis

Correct answer: 3. Lichen planus

Explanation: This young female has


Lacy linear lesions on tongue
Elongation of nail fold beyond nail bed → pterygium


Diagnosis is Lichen planus.